The lipid : protein ratio of inner mitochondrial membrane is:
1. 1:02
2. 2:01
3. 1:01
4. 1:03

Correct answer: 4. 1:03

Explanation: Chemical composition of some purified membranes Membrane Protein Lipid Carbohydrate 1. Myelin sheath (nerve cell) 18 79 3 2. Plasma membrnae : (i) Mouse liver (ii) Amoeba (iii) Human erythrocyte 44 54 52 52 42 40 4 4 8 3. Mitochondrial inner membrane 76 24 0 The ratio of lipid to protein is highly variable in various membranes. In myelin, lipid is important for insulation. That is why myelin contains more lipid compared to proteins. Inner mitochondrial membrane is embedded with large amount of proteins of electron transport chain.That is why the protein to lipid ratio is 3.2 : 1